First case that comes to notice of physician is ?
1. Primary case
2. Secondary case
3. Index case
4. Refer case

Correct answer: 3. Index case

Explanation: Ans. is 'c' i.e., Index case o Primary case --> First case of communicable disease introduced into the population. o Index case --> First case to come to attention of the investigator.